Which of the following is not seen in A.L.S
1. Weakness of extremities
2. Tongue Fasciculation
3. Bulbar Palsy
4. Eye involvement

Correct answer: 4. Eye involvement

Explanation: A.L.S presents with following clinical features: Weakness of extremities Fasciculation of tongue Decreased tone i.e Hypotonia Normal higher mental functions No eye involvement-->No ptosis Bulbar palsy : 9 /10 / 12th nerve palsy No bladder / Bowel involvement Most common cause for death in motor neuron disease is respiratory failure